Not true regarding Giant Cell Tumor
1. Benign bone tumor
2. Usually solitary
3. Spine involvement is common
4. Age group affected in usually between 20-40 years

Correct answer: 3. Spine involvement is common

Explanation: Ans. c (Spine involvement is common) (Ref. Bailey and Love Surgery 25th/pg. 471; Maheshwari orthopaedics 2nd/pg. 215)GIANT CELL TUMOR (OSTEOCLASTOMA)# It is an aggressive but benign tumor of bone.# Occurs most commonly at epiphyseal end of long bones (most common around the knee: distal femur and proximal tibia: 50-65%).# Peak incidence 20-40 years old.# Eccentric, Epiphyseal (subarticulaar), Expansile Benign Bone tumor.# Locally aggressive benign tumor often around the distal femur, proximal tibial region.# Characteristic "soap bubble" appearance on X-ray.# Spindle-shaped cells with multinucleated giant cells.# Tumor invasion of the soft tissue occurs in 25% of cases.# 3'E's of GCT/ Osteoclastoma:- Epiphyseal- Expansile- Eccentric # Bone tumors of epiphyseal origin =>Osteoclastoma (GCT) and Chondroblastoma (Codman's tumor).